Marble bone disease is -
1. Osteoporosis
2. Paget's disease
3. Osteopetrosis
4. Osteogenesis imperfecta

Correct answer: 3. Osteopetrosis

Explanation: Ans. is 'c' i.e., Osteopetrosis o Osteopetrosis is also known as Marble bone disease or Albers-Schonberg disease.o Paget's disease is known as Osteitis deformans,o Osteogenesis imperfecta is known as Brittle bone disease,o Osteoporosis is known as Fragile bone disease.